Auto-Rikshaw ran over a child's thigh, there is a mark of the tire tracks, it is an
1. Contact bruise
2. Ectopic bruise
3. Imprint abrasion
4. None of the above

Correct answer: 3. Imprint abrasion

Explanation: Imprint or patterned abrasions may result from forceful impact, as in a pedestrian struck by a Vehicle. The importance of patterned abrasions lies in the fact that their shape can be matched to the causative object, and for this reason, they should be documented by photography with a scale, or by an accurate tracing. Common examples of imprint abrasions are the sole patterns of footwear in kicking assaults, and motor vehicle tire tread marks in run-over pedestrian deaths.